Which nutritional deficiency is associated with hereditary ataxia?
1. Vitamin B12
2. Vitamin B1
3. Vitamin E
4. Vitamin C

Correct answer: 3. Vitamin E

Explanation: There are two types of hereditary ataxia associated with abnormalities of Vitamin E. Abetalipoproteinemia - Impairment of formation and secretion of VLDL in liver resulting in deficiency of delivery of Vitamin E to tissues including central and peripheral nervous system. Ataxia with Vitamin E deficiency (AVED) - Impaired binding of Vitamin E to VLDL, resulting in deficiency of Vitamin E in peripheral tissues.